Which index uses calibrated probe for calculus?
1. OHI
2. Marginal line calculus index
3. Calculus severity index
4. Volpe Manhold Index

Correct answer: 4. Volpe Manhold Index